Commonest type of ca gallbladder with gall stones is:
1. Adenocarcinoma
2. Anaplastic carcinoma
3. Sq. cell carcinoma
4. Transitional cell ca

Correct answer: 1. Adenocarcinoma

Explanation: Ans. is 'a' ie Adenocarcinoma almost 70% (90% according to Sabiston) of ca G.R. are associated with gall stones.Pathological types of G.B. carcinomaAdenocarcinoma90%Undifferentiated ca7%Squamous cell ca3%Now it's very easy to decide the commonest type of ca G.B. associated with Gall stones.